Which of the following will cause oral cancers?
1. Syphilitic glossitis
2. EBV
3. НPV
4. All of the above

Correct answer: 4. All of the above

Explanation: EBV, HPV and syphilis will cause oral cancers.